Which of the following is least likely associated with vascular injury ?
1. Fracture supracondylar femur
2. Fracture supracondylar humerus
3. Fracture shaft of femur
4. Fracture shiaft humerus

Correct answer: 4. Fracture shiaft humerus

Explanation: Ans. is 'd' i.e., Fracture shaft humerus Vascular injury may be seen in - Fracture supracondylar humerus ---> Brachial artery Fracture shaft femur (especially distal 3rd)--->Popliteal artery Fracture supracondylar femur --> Popliteal artery